All are true about Bulimia Nervosa, except ?
1. Binge eating
2. Self-induced vomitting
3. Weight loss
4. Purgative abuse

Correct answer: 3. Weight loss

Explanation: Ans. is 'C' i.e., Weight lossBulimia NervosaBulimia nervosa is characterized by episodes of uncontrollable excessive eating (binges) followed by vigorous weight-reducing measures like self-induced vomiting, purgative abuse, diuretics, or abuse of emetics; and less commonly severe dieting and strenuous exercise.Episodes of binge eating occur relatively frequently (twice a week or more) for at least 3 months.As in anorexia nervosa, there is an extreme preoccupation with the shape and weight of the body. However, bulimia nervosa differs from anorexia nervosa : ?Patients of bulimia are slightly older than those with anorexia i.e., Late adolescence.Most of the patients with bulimia nervosa have a weight within their normal weight range.Amenorrhea is usually not present and most are sexually active, compared with anorexia nervosa patients.Peculiar behavior about the food of anorexia nervosa is absent.Depressive symptoms are more common- Post-binge anguish.Patients with bulimia nervosa may have dental caries/tooth decay, Sore throat, Swollen Salivary gland (parotitis), and internal bleeding due to vomiting.